Atopy in hypersensitivity is -
1. Systemic type I hypersensitivity
2. Systemic type II hypersensitivity
3. Local type I hypersensitivity
4. Local type II hypersensitivity

Correct answer: 3. Local type I hypersensitivity

Explanation: Type I hypersensitivity occurs in two forms :
1. Anaphylaxis
2. Atopv
→
→
Acute, potentially fatal, systemic.
Chronic. Nonfatal. Localized.
Remember
 Mast cells are the most important cells in type 1 hypersensitivity.
O Eosinophils are the most important cells in the late phase reaction of type I hypersensitivity,
 Histamine is the most important mediator in type 1 hypersensitivity.
 1L-4 is particularly important, it is essential for turning on IgE secreening B cells.
 PAF is the most important cytokine in the initiation of late phase reaction.
Most potent eosinophilic activating cytokine is 1L-5.